Which of the following structure is passing through foramen rotundum?
1. Maxillary artery
2. Maxillary nerve
3. Middle meningeal artery
4. Spinal accessory nerve

Correct answer: 2. Maxillary nerve

Explanation: Foramen rotundum located posterior to the medial end of the superior orbital fissure. The foramen rotundum transmits the maxillary nerve (CN V-2) en route to the pterygopalatine fossa. CN V-2 supplies the skin, teeth, and mucosa associated with the maxillary bone.